Stain for treponema -
1. Fontana's
2. Acid-facid
3. Methenamine-silver
4. PAS

Correct answer: 1. Fontana's

Explanation: Option 1 Microscopy: Silver impregnation method: (i) Levaditi stain (for tissue section): corkscrew shaped Treponema pallidum (ii)Fontana stain(smear)- showing the spiral morphology Option 2 Acid-fast stain is used for stain acid fast organism (Mycobacterium) or structures (Endospore). Option 3 Gomori Methenamine-Silver (GMS) stain: for fungal organisms. Option 4 Periodic Acid-Schiff (PAS) is a staining method used to detect polysaccharides such as glycogen, and mucosubstances such as glycoproteins, glycolipids and mucins in tissues.